All of the following are diagnostic features of allergic bronchopulmonary aspergillosis (ABPA), EXCEPT:
1. Peripheral eosinophilia
2. Changing pulmonary infiltrates
3. Serum precipitins against Aspergillosis fumigants
4. Occurrence in patients with old cavitatory lesions

Correct answer: 4. Occurrence in patients with old cavitatory lesions

Explanation: Bronchopulmonary aspergillosis results from an allergic pulmonary reaction to inhaled spores of Aspergillus fumigatus. It is characterized by the presence of eosinophilia, chest x ray shows fleeting eosinophilic infiltrates mainly in the upper lobe of the lungs. Bronchopulmonary aspergillosis does not occur in old cavitary lesions. Ref: Harrison's Internal Medicine, 18th Edition, Chapter 254 ; CURRENT Diagnosis and Treatment in Pulmonary Medicine, Chapter 38